All are true regarding Thrombotic Thrombocytopenic Purpura except:
1. Normal ADAMTS levels
2. Microangiopathic hemolytic anemia
3. Thrombocytopenia
4. Thrombosis

Correct answer: 1. Normal ADAMTS levels

Explanation: Thrombotic Thrombocytopenic purpura (TTP)- =Causes- Deficiency of ADAMTS 13 Ab formation against ADAMTS 13 - | ADAMTS activity - VWF clumping - Platelet-Thrombi present =C/F - Thrombocytopenia Microangiopathic Hemolytic anaemia Fever =Rx- Plasmapheresis